True or false
1.  Bronchoscopy with BAL is mainstay of diagnosis for pneumocystic pneumonia
 2. Pneumatoceles are seen in all cases of pneumocystic pneumonia
3.  CD4 count < 350 /µL is indication for prophylaxis against pneumocyctis carini pneumonia
 4. Trimethoprim - sulfamethoxazole is drug of choice for prophylaxis.
1. 1 - True, 2 - False, 3 - False, 4 - True
2. 1 - False, 2 - True , 3 -True , 4 - False
3. 1 - True, 2 -True, 3 - False, 4 - True
4. 1 - False, 2 - False , 3 -True , 4 - False

Correct answer: 1. 1 - True, 2 - False, 3 - False, 4 - True

Explanation: CD4 count <200 /µL is indication for prophylaxis.
Pneumatoceles may be seen, but not in all cases.